Which of the following is/are caused by trachoma:
1. Entropion
2. Ectropion
3. Pinguecula
4. All

Correct answer: 1. Entropion

Explanation: A. i.e. Entropion